Which is concerned with HUMORAL immunity
1. B cell
2. T cell
3. Basophil
4. Monocytes

Correct answer: 1. B cell